Side effect of clomiphene citrate is:
1. Alopecia
2. Hotflushes
3. Hyperstimulation syndrome
4. All

Correct answer: 4. All

Explanation: dRef: KDT, 5th ed, p. 278 & 4th ed, p. 311-338